Spikes protocol is related to
1. Communication of cancer prognosis
2. Death certificate
3. Triage
4. Cohort study

Correct answer: 1. Communication of cancer prognosis

Explanation: SPIKES Technique is found useful in communication of Breast cancer prognosis :
S - Setting up an interview.
P - Assessing Perception.
I - Invitation to explain.
K - Imparting Knowlwdge.
E - Adressing Emotions.
S - Summary and strategy.